What is the investigation of choice for interstitial lung disease?
1. Chest X-ray
2. HRCT
3. Gallium - 67 DTPA scan
4. MRI

Correct answer: 2. HRCT

Explanation: Ideally lung biopsy should be done but is not given in the choices. High-resolution computed tomography is superior to the plain chest x-ray for early detection and confirmation of suspected ILD. In addition, HRCT allows better assessment of the extent and distribution of disease. In the appropriate clinical setting HRCT may be sufficiently characteristic to preclude the need for lung biopsy.